All  of the following types of porphyria are autosomal dominant except:
1. acute intermittent porphyria
2. Porphyria cutanea tarda
3. CEP (Congenital erythropoetic porphyria)
4. Hereditary coproporphyria

Correct answer: 3. CEP (Congenital erythropoetic porphyria)

Explanation: Congenital erythropoietic porphyria which is Autosomal recessive.
PORPHYRIAS